Ossification centre Calcaneum appears in
1. 3rd month
2. 5th month
3. 7th month
4. 9th month

Correct answer: 2. 5th month

Explanation: Ossification centres Foot calcaneum: 5 months of JULY Talus: 7 months Cuboid: 9 months Navicular: 1 year Cuneiforms: 1 to3 years Ref: FORENSIC MEDICINE AND TOXICOLOGY Dr PC IGNATIUS THIRD EDITION PAGE 92